Of the following which one correlates with isovolumic contraction phase:
1. AV opening and aortic and pulmonary valve closure
2. AV closure and aortic & pulmonary valve opening.
3. Both valves are closed
4. Both valves are open

Correct answer: 3. Both valves are closed

Explanation: C i.e. Both value are closed